Visual hallucinations are seen in all except
1. Delirium
2. Depression
3. Schizophrenia
4. Alcohol withdrawal

Correct answer: 2. Depression

Explanation: Delirium: delirium is an organic brain syndrome charecterized by altered sensorium, altered consiousness, disordientation and perceptional disturbances this is the most important are of PG entrance questions. the most characterstic feuture of delirium is altered sensorium delirium is also called as organic brain syndrome the cognitive function that is deranged in delirium is attention and disorientation delirium presents with sun downing phenomenon, that is worsening of sumptoms in the late evenings and night delirium that presents in alcohol withdrawl is called as delirium tremens delirium tremens presents with lilliputian hallucinations, where the patient presents with seeing objects that are small in size like 2cm people shouting at them, miniature animals trying to attack them Hallucinations, misperceptions, illusions, and delusions are reported to occur in at least 40 percent of cases of delirium and can accompany both hypoactive and hyperactive subtypes. Hallucinations are usually visual, ranging from dream-like experiences to terrifying visions.(Page 1186) Schizophrenia: Auditory hallucinations are the most common type, followed by visual hallucinations, and tactile (or haptic), olfactory, and gustatory hallucinations are less common.(Page 1411) Severe alcohol withdrawal, presents with delirium, autonomic hyperactivity, and frequent visual and tactile hallucinations and carries a significant risk of seizures and death if untreated.(Page 1182) Reference: Kaplan & Sadock's Comprehensive Textbook of Psychiatry, 10th Edition kaplon and sadock , synopsis of psychiatry, 11 th edition, pg.694